Cancer not associated with BRCA 2 mutation?
1. Ovarian
2. Prostate
3. Bile duct
4. Liposarcoma

Correct answer: 4. Liposarcoma

Explanation: BRCA2 is associated with Familial breast and ovarian cancer. Others are Ovarian, male breast cancer, prostate, pancreas, stomach, melanoma, gallbladder, bile duct, pharynx.Ref: Robbins; 9th edition; Chapter 23 The Breast; Page no: 1024